A one-day census of inpatients in a mental hospital could-
1. Give good information about the patients in that hospital at that time
2. Give reliable estimates of seasonal factors in admissions
3. Enable us to draw conclusions about the mental hospitals in India
4. Enable us to estimate the distribution of different diagnosis in mental illnesses in the local area

Correct answer: 1. Give good information about the patients in that hospital at that time

Explanation: - This would be a cross-sectional study, which will provide information about prevalence of diseases in that hospital at that time only. - Cross sectional study: Aka Snapshot study/ Prevalence study . Done at point of time . Based on primary data. Can't calculate strength of association.